A 35 year old athlete has height 184 cm., arm span 194 cm., pulse rate 64/min., BP 148/64 mm Hg. Chest auscultation reveals long diastolic murmur over right 2nd intercostal space on routine examination. The probable diagnosis is :
1. Aortic regurgitation
2. Atrial septal defect
3. Ebstein anomaly
4. Coarctation of aorta

Correct answer: 1. Aortic regurgitation

Explanation: Answer is A (A.R.): Arm span greater than height is suggestive of Marfan's syndrome. Aortic regurgitation (A.R.) is a feature associated with Marfans as well as consistent with a diastolic murmur is second right intercostal space.